Pseudoclaudication is caused by:
1. Femoral artery stenosis
2. Popliteal artery stenosis
3. Lumbar canal stenosis
4. Radial artery stenosis

Correct answer: 3. Lumbar canal stenosis

Explanation: When symptoms mimicking the symptoms of intermittent vascular claudication arise from lumbar canal stenosis, the condition is termed as neurogenic pseudoclaudication. Pseudoclaudication refers to a variety of connditions that may mimic vascular intermittent claudication. The condition that is most commonly cofused with vascular intermittent claudication is neurological pseudoclaudication due to lumbar canal stenosis. Chracteristics vascular Claudication Neurogenic Pseudoclaudication Age Old Old Gender Male>Female Male = Female Current or Previous low back pain Less common Very Common Lower Limb Symptoms Pain Numbness, tingling (paraesthesias) One or both sides Buttock, Thigh, and/or leg No/Rare Yes (May be unilateral) Buttock, Thigh , and/or leg Frequent Yes(Usually bilateral) Provoking Factors Walking/Excercise Standing Still Up an incline Down an incline Yes No +/- More likely +/- Less Likely Yes Yes +/- Less Likely +/- More Likely Relieving Factors Stand still Lean forwards(flexed posture) Helps No difference No help Helps Preventive Factor: Time to relief Pulses Neurological examination Straight-leg raising test Slightly quicker (2-5 minutes to disappear) Reduced Normal Negative Slightly Slower (15-20 minutes to disappear) Normal Minor findings Usually negative Walking Distance Fairly constant More variable Ref: Sabiston 20th edition Pgno: 1765